Fejereskov and Thylstrup index is used for
1. Caries Index in primary teeth
2. Index to measure Fluorosis
3. Gingival Bleeding Index
4. Periodontal Index

Correct answer: 2. Index to measure Fluorosis